Cock up splint is used in treatment of ?
1. Radial nerve palsy
2. Ulnar nerve palsy
3. Median nerve palsy
4. Posterior interosseous nerve palsy

Correct answer: 1. Radial nerve palsy

Explanation: Ans. is 'a' i.e., Radial nerve palsy Splints Any material which is used to support a fracture is called splint. Splints are used for immobilizing fractures; either temporarily during transportation or for definitive treatment. The most commonly employed splints is plaster of paris (POP) splint. Various POP splints are. Casts : - Here the POP roll completely encircles the limb. Slab : - It is not completely encircles the limb, but only one half or one third circumference. Spica : - This encircles a part of the body; e.g., hip spica for fractures around hip.